Which type of cerebral palsy is seen as a sequelae to bilirubin encephalopathy in the neonatal period?
1. Spastic Quadriplegia
2. Spastic Hemiplegia
3. Dyskinetic cerebral palsy
4. Hypotonic cerebral palsy

Correct answer: 3. Dyskinetic cerebral palsy

Explanation: - Dyskinetic or extrapyramidal cerebral palsy is seen d/t basal ganglia involvement in kernicterus or bilirubin encephalopathy, in the neonatal period. EXTRA EDGE: CEREBRAL PALSY AREA OF BRAIN INVOLVED Spastic diplegia periventricular area (PVL - periventricular leukomalacia/ PVHI- Periventricular hemorrhagic infarct) Spastic quadriplegia Multicystic encephalopathy ; Parasagittal brain injury Spastic hemiplegia MCA territory infarct Dyskinetic/Extrapyramidal cerebral palsy Basal ganglia (neonatal jaundice/kernicterus) Hypotonic Cerebellar lesion